Which is not a measure of dispersion?
1. Mean deviation
2. Standard deviation
3. Mode
4. Range

Correct answer: 3. Mode

Explanation: Ans: c (Mode) Ref: Park, 19th ed, p. 701Measures of dispersion include:a) Mean deviationb) Standard deviationc) RangeThe range is the simplest measure of dispersion. It is the difference between the highest and lowest figures in the sample.Mean deviation-is the average of the deviations from the arithmetic mean, and is given by the fonnulaStandard deviation- is the most frequently used measure of deviation. It is defined as the root mean square deviation.Measures of central tendency include# Mean# Mode -- not affected by the extreme items.# Median